Which of the following is true regarding competitive inhibition?
1. Vmax increases
2. Vmax decreases
3. Km increases
4. Km decreases

Correct answer: 3. Km increases

Explanation: Competitive inhibition leads to increase in Km, and Vmax remains constant.